The upper half of the esophagus in lined by
1. Stratified cuboidal epithelium
2. Stratififed squamous epithelium
3. Stratififed squamous non keratinsed epithelium
4. Stratififed squamous keratinised epithelium

Correct answer: 3. Stratififed squamous non keratinsed epithelium

Explanation: INDERBIR SINGH'S TEXTBOOK OF HUMAN HISTOLOGY-PAGE NO:263 The mucosa The mucous membrane of the oesophagus shows several longitudinal folds that disappears when the tube is distended The mucosa is lined by stratified squamous epithelium which is normally not keratinized